Which drug is not used in CHF -
1. Spironolactone
2. Trimetazidine
3. Nitroglycerine
4. Nesiritide

Correct answer: 2. Trimetazidine

Explanation: Ans. is 'b' i.e., Trimetazidine o Trimetazidine is an antianginal drugs which act by inhibiting fatty acid oxidation.